Dicobalt EDTA is used for treating a poisoning case effectively. Which of the following poisoning is treated by dicobalt EDTA?
1. Cyanide
2. Sulfuric acid
3. Nitric acid
4. H2S

Correct answer: 1. Cyanide

Explanation: aerobic utilization of oxygen. Dicobalt EDTA acts by chelating cyanide to form a harmless product that is excreted in the urine. Cobalt EDTA and aminophenols are more rapid in action, efficacious, and less toxic than nitrites. Ref: The essentials of forensic medicine and toxicology by Narayan Reddy, 27th edition, Page 560.